Which of the following valvular heart diseases is most commonly associated with sudden death:
1. Aortic Stenosis
2. Mitral Stenosis
3. Mitral Regurgitation
4. Aortic Regurgitation

Correct answer: 1. Aortic Stenosis

Explanation: Answer is A (Aortic Stenosis) Aortic Stenosis is the most common valvular disease associated with sudden death. The most common valve disease causing sudden death is aortic stenosis. In children subvalvular and supravalvular aortic stenosis may cause sudden death whereas in adults both congenitally bicuspid and trileaflet valves are the cause. Aortic stenosis accounts for approximately 2 percent of sudden death in adults' The classic symptoms of the valvular type of aortic stenosis (regardless of type) include external dyspnoea, syncope, angina, and sudden cardiac death. The onset of symptoms is an ominous sign. The presence of angina does not necessarily indicate coexisting coronary disease; rather, it is related to increased left ventricular filling pressure causing subendocardial ischemia.